A 48 year old woman presented with self inflicted injuries, auditory hallucinations, and delusional disorder. A routine MRI revealed a tumor invloving the posterior limb of the internal capsule and the structure medial to it. Which of the following structures are likely to be affected?
1. Globus pallidus
2. Putamen
3. Thalamus
4. Caudate nucleus

Correct answer: 3. Thalamus

Explanation: The thalamus lies medial to the posterior limb of the internal capsule. The internal capsule seperates the thalamus and the caudate nucleus from the lentiform nucleus (globus pallidus+ putamen). It is V-shaped in horizontal section and is divided into the anterior limb, genu, posterior limb, retrolenticular part, and sublenticular part. The anterior limb is located between the head of the caudate nucleus medially and lentiform nucleus laterally. The posterior limb is located between the thalamus medially and the lentiform nucleus laterally. Ref: Gray's Anatomy 41st edition Pgno; 394,395